Inclusion bodies are found in all except:
1. Herpes
2. EBV
3. Poliovirus
4. CMV

Correct answer: 2. EBV

Explanation: Inclusion bodies are nuclear or cytoplasmic aggregates of stainable substances, usually proteins. They typically represent sites of viral multiplication in a bacterium or a eukaryotic cell and usually consist of viral capsid proteins.
It is the most characteristic histological feature in virus-infected cells. It is of the following types:
a. Intracytoplasmic eosinophilic inclusion:
Negri bodies – Rabies
Guarnieri bodies – Variola (smallpox), vaccinia
Bollinger bodies – Fowlpox
Henderson-Peterson bodies – Molluscum contagiosum
b. Intranuclear acidophilic inclusion bodies:
Cowdry type A – Herpes, chickenpox, CMV, yellow fever
Torres bodies – Yellow fever
Cowdry type B – Poliovirus
c. Both Nuclear and cytoplasmic:
Warthin Finkeldey - Measles
d. Intranuclear basophilic inclusion bodies:
Cowdry type B - Adenovirus